Hemotoxylin bodies are seen in ?
1. SLE
2. PAN
3. RA
4. Wegners granulomatosis

Correct answer: 1. SLE

Explanation: Systemic lupus erythematosus (SLE), also known simply as lupus, is an autoimmune disease in which the body's immune system mistakenly attacks healthy tissue in many parts of the body. Symptoms vary between people and may be mild to severe. Common symptoms include painful and swollen joints, fever, chest pain, hair loss, mouth ulcers, swollen lymph nodes, feeling tired, and a red rash which is most commonly on the face. Often there are periods of illness, called flares, and periods of remission when there are few symptoms.In diagnostic pathology, a hematoxylin body, or LE body, is a dense, homogeneous, basophilic particle, easily stainable with hematoxylin. It consists of degraded nuclear material from an injured cell, along with autoantibodies and a limited amount of cytoplasm. Hematoxylin bodies occur in systemic lupus erythematosus. The hematoxylin body may be green, blue, or purple with the Papanicolaou stain and magenta with Romanowsky stains.] The material has a positive Feulgen stain reaction, which is typical of DNA. The material may be extracellular or may be ingested by leukocytes, which are then known as LE cells.